The primary action of leptin is:
1. To increase food intake
2. To decrease food intake
3. To increase gastric contraction
4. To increase intestinal motility

Correct answer: 2. To decrease food intake

Explanation: LEPTIN It is a 167 aa peptide secreted from adipocytes, blood leptin level reflects total body fat. Its primary action: To decrease food intake. It in CNS decreases NPY and alpha MSH. Leptin deficiency may lead to obesity. Ref: Sleisenger and Fordtran's, Edition-9, Page-8.